Which of the following is not a permanent mucosal fold?
1. Spiral valve of heister
2. Gastric rugae
3. Plica semilunaris
4. Transverse rectal fold

Correct answer: 2. Gastric rugae

Explanation: The gastric folds (or gastric rugae) may be seen during esophagogastroduodenoscopy or in radiological studies. They provide the stomach with increased surface area for nutrient absorption . image ref - britannica.com